Glaukomflecken is a feature of:
1. Acute narrow-angle glaucoma
2. Pseudoexfoliative glaucoma
3. Juvenile glaucoma
4. Phacolytic glaucoma

Correct answer: 1. Acute narrow-angle glaucoma

Explanation: Ans. Acute narrow-angle glaucoma